A 23 year old female presents to the clinic with 5 weeks history of amenorrhea. Pregnancy test done in her was found to be positive and on examination Palmer sign is present. What does Palmer's sign indicate?
1. Pulsation in lateral fornix
2. Softening of uterus
3. Rhythmic contraction of uterus
4. Bluish colouration of vagina

Correct answer: 3. Rhythmic contraction of uterus

Explanation: Palmer's sign refers to the regular and rythmic uterine contractions which is elicited during bimanual examination. It is present as early as 4-8 weeks. Osiander's sign refers to the feeling of increased vaginal pulsation felt through the lateral fornices at 8th week of gestation. Jacquemier's sign or Chadwick's sign refers to the dusky hue of the vestibule and anterior vaginal wall visible at about 8th week of pregnancy. Goodell's sign refers to softening of the cervix as early as 6th week of gestation. Ref: Textbook of Obstetrics By D.C Dutta, 6th edn, page 65